In a virgin girl, rupture of hymen after sexual intercourse, occurs at which position :
1. 12' O clock
2. 6'O clock
3. 11'O clock
4. All

Correct answer: 2. 6'O clock

Explanation: B i.e. 6 O'clock